Anticipation phenomenon is seen in
1. Duchenne muscular dystrophy
2. Emery - Dreifuss
3. Fascio scapulo humeral
4. Mytonic

Correct answer: 4. Mytonic

Explanation: Anticipation -  Phenomenon wherein clinical features worsen with each successive generation.